X. Ray wrist showing soap bubble appearance in epiphyseal region. Diagnosis:
1. Giant cell tumour'
2. Osteosarcoma
3. Osteochondroma
4. Osteoid osteoma

Correct answer: 1. Giant cell tumour'

Explanation: Ans. (a) Giant cell tumourRef: Maheshwari 5th ed. 1237; Orthopedic Pathology byVincent J Vigorita P 294* GCT is an epiphyseal tumor* GCT usually involves subarticular region distal radius and distal femur, the proximal tibia being most common site.* If there is a soap bubble appearance in diaphyseal region, it is adamantioma.Also Know* Sun burst appearance: Osteosarcoma* Nidu/Seed in cortex: Osteioid osteoma* Onion skin appearance: Ewing s sarcoma* Exostosis (cartilage cap): Osteochondroma